In which of the following perineural invasion in head and neck cancer most commonly seen.
1. Adenocarcinoma
2. Adenoid cystic Ca
3. Basal cell Ca
4. Squamous Cell Ca

Correct answer: 2. Adenoid cystic Ca

Explanation: .Ans is 'b' Adenoid cystic Ca